Epiploic foramen Connects:
1. Lesser Omentum with greater omentum
2. Lesser sac with greater sac
3. Lesser omentum with greater sac
4. Lesser sac with greater omentum

Correct answer: 2. Lesser sac with greater sac

Explanation: Lesser sac with greater sac